Nerve of the pterygoid canal is also known as:
1. Arnold's nerve
2. Vidian nerve
3. Nerve of Kuntz
4. Criminal nerve of Grassi

Correct answer: 2. Vidian nerve

Explanation: Greater superificial petrosal nerve joins the deep petrosal nerve to form the nerve of pterygoid canal or also called as Vidian nerve. Vidian nerve reaches pterygopalatine ganglion to supply the lacrimal gland and mucous glands of nose, palate and pharynx. Arnold nerve: It is a branch of cranial nerve X which carries fibers that supply sensory innervation to the ear canal Jacobson nerve: It is a branch of cranial nerve IX that runs along the promontory of the middle ear supplying sensation and parasympathetic fibers to the parotid gland